Infant body weight is tripled by age of-
1. 5 months
2. 11 months
3. 2 years
4. 18 months

Correct answer: 2. 11 months

Explanation: Ans. is 'b' i.e., 11 Months o The average birth weight of neonates is about 3 Kg. o During first few days after birth, the newborn loses extracellular fluid equivalent to about 10% of the body weight. o Most full term infants regain their birth weight by the age of 10 days. o Subsequently, they gain weight at a rate of approximately 25 to 30 gm per day for the first 3 months of life. o Thereafter they gain about 400 gm of weight every month for the remaining part of first year. Age Weight Birth 3 Kg 5 months 6 Kg (2 x birth weight) 1 year 9 Kg (3 x birth weight) 2 years 12 kg (4 x birth weight) 3 years 15 kg (5 x birth weight) 5 years 18 kg (6 x birth weight) 7 years 21 kg (7 x birth weight) 10 years 30 kg (10 x birth weight) o A child gains about 2 kg every year between the age of 3 and 7 years and 3 kg per year after that till the pupeal growth spurt begins.